Incidence of cord prolapse is least in :
1. Frank breech
2. Footling presentation
3. Transverse lie
4. Brow presentation

Correct answer: 1. Frank breech

Explanation: Ans. is a i.e. Frank breech Cord Prolapse Cord prolapse is the condition where the umbilical cord lies below the presenting part after rupture of membranes. In cord presentation, the membranes are intact. In occult cord prolapse the cord is by the side of the presenting part, but not felt by the examining fingers. Cord prolapse occurs more commonly in flexed / complete breech or in case of footling presentation because engagement in both cases occur late whereas in frank breech chances are less because engagement occurs early. Frank breech Most common in primigravida Engagement occurs early Less chances of cord prolapse Complete breech (Flexed breech) * Most common in multipara * Engagement occurs late * More chances of cord prolapse Also Know Factors associated with cord prolapse ? Mnemonic MTP contraindicated in Heart patients. M - Malpresentations - commonest being transverse lie followed by breech presentation T - Twins - specially incase of second twin P - Prematurity Contraindicated - Contracted pelvis In latrogenic viz - low rupture of membranes, manual rotation of head with versions. Heart - Hydraminos with membrane ruptrue. Patients - Placental factors viz minor degree of placenta previa with marginal insertion of cord, battle dore placenta or long cord.